False about pituitary adenoma:
1. It is the most common cause of hyperpituitarism
2. Reticular stain is positive with pituitary adenoma
3. It is associated with MEN-1 syndrome
4. All are true

Correct answer: 2. Reticular stain is positive with pituitary adenoma

Explanation: Absence of reticulin stain can differentiate pituitary adenoma from pituitary hyperplasia.